The end product of cytosol fatty acid synthetase in humans is
1. Oleic acid
2. Arachidonic acid
3. Linoleic acid
4. Palmitic acid

Correct answer: 4. Palmitic acid

Explanation: ahnitic acid 
In fatty acid synthesis
1.Primary substrate        →   Glucose
2. Immediate substrate   →   Acetyl-CoA
3. End product               →  Palmitate (Palmitic acid)